A 19-year old male presents with several comedones, papules and pustules on face and trunk. The approp-ilte drug ,*1choice for the patient would be
1. Topical retinoic acid
2. Topical retinoic acid + Oral doxycycline
3. Topical clindamycin
4. Topical azithromycin

Correct answer: 2. Topical retinoic acid + Oral doxycycline

Explanation: Ans. b. Topical retinoic acid + Oral doxycycline A I9-year-old male presents with several comedones, papules and pustules on face and trunk. This is a case of inflammatory acne with comedones and appropriate drug of choice for this patient is topical retinoic acid with oral doxycycline.